All of the following are disruptive & impulse control disorders, except :
1. Munchausen syndrome
2. Conduct disorder
3. Intermittent explosive disorder
4. Oppositional defiant disorder

Correct answer: 1. Munchausen syndrome

Explanation: Munchausen syndrome is a mental illness where the patient feigns symptoms deliberately without ant motive.